Commonly used Disc diffusion method is also known as:
1. Kirby Bauer method
2. E test method
3. MIC method
4. Stokes method

Correct answer: 1. Kirby Bauer method

Explanation: Disc Diffusion method is also known as Kirby Bauer disc diffusion method. It is most commonly used method for antibiotic sensitivity testing. It is done on MHA i.e. Mueller Hinton Agar or nutrient Agar. Stokes method - It is better method of disc diffusion because controls are used. However, it is not used commonly because it is costly. E test i.e. Epsilometer test is used to calculate MIC (minimum inhibitory Concenteration)